The following statments are true for negri bodies except -
1. They are pathognomic of rabies
2. They are found in the brain
3. They are cytoplasmic inclusion bodies
4. They do not contain rabies virus antigen

Correct answer: 4. They do not contain rabies virus antigen

Explanation: Ans. is 'd' i.e., They do not contain rabies virus antigen